In a patient with a history of burning pain localized to the plantar aspect of the foot, the differential diagnosis must include -
1. Peripheral vascular disease
2. Tarsal coalation.
3. Tarsal tunnel syndrome
4. Planter fibromatosis

Correct answer: 3. Tarsal tunnel syndrome

Explanation: Three most common caused of pain in the plantar aspect of the foot are plantar fasciitis, tarsal tunnel syndrome, and posterior tibial tendinopathy.
Plantar fasciitis is the most common cause; however, burning pain is characteristic of neural pain.

"If the patient describes the sensation as `burning "tingling ' or `numbness', the cause is peripheral nerve entrapment" __Neuromedicine